All of the following are used for induction of labour, EXCEPT
1. PG F2atablet
2. PG E1 tablet
3. PG E2 gel
4. Oxytocin

Correct answer: 1. PG F2atablet

Explanation: PG F2a causes a tonic uterine contraction and is unsuitable for a induction of labor as a tonic contraction can cause fetal hypoxia. However, the tonic action on the uterus is put to good use in causing 12 to 20 weeks abortions. This is also an excellent drug for PPH control when the regular drugs fail to act